Which of the following is not a part of budd chiari’s triad
1. Hepatomegaly
2. Pain
3. Varices
4. Ascites

Correct answer: 3. Varices

Explanation: Budd chiari’s triad contains hepatomegaly , ascites and
abdominal pain.